Which artery dilatation causes compression of 3rd part of duodenum
1. Superior mesenteric artery
2. Gastroduodenal artery
3. Inferior mesenteric artery
4. Celiac artery

Correct answer: 1. Superior mesenteric artery

Explanation: Superior mesenteric artery: - Artery of mid gut Origin - L1 vertebrae level . Regional anatomy of SMA: - It is crossed anteriorly by the splenic vein & the neck of pancreas. Posterior to it is the renal vein, the uncinate process & the inferior part of duodenum (3rd part). - This D3 part can be compressed b/w two arteries: - Anterior - SMA Posterior - Abdominal aorta SMA dilatation can lead to compression of 3rd part of duodenum. | This is called as superior Mesenteric artery syndrome.